Hepatotoxic drug used in tuberculosis is -
1. Isoniazid
2. Streptomycin
3. Kanamycin
4. Ethambutol

Correct answer: 1. Isoniazid

Explanation: Ans. is 'a' i.e., Isoniazid o Remember these important side effects of antitubercular drugs.HyperuricemiaPeripheral NeuropathyHepatitisOptic Neuritiso Ethambutolo Pyrazinamideo Streptomycino 1NHo Ethambutolo Ethionamideo Isoniazido Rifampicino Pyrazinamideo Ethionamideo Isoniazido Ethambutol